An 8 year old asthmatic  patient complains of food lodgment with her lower back tooth. Patient is apprehensive and frightened by the sound of air rotor. IOPA reveals dentinal caries with 46 not involving the pulp. Which of the following methods should be used for caries removal?
1. Carie Care
2. Air abrasion
3. Recaldent
4. Dycal

Correct answer: 1. Carie Care

Explanation: CHEMO-MECHANICAL CARIES REMOVAL 
Chemical softening of carious dentin – gentle excavation
CARIE CARE contains:

Papaya extracts – 100 mg
Clove oil – 2 mg
Colored gel – 10 mg
Sterile water – 1 ml
Chloramine
Sodium chloride
Sodium methylparaben
Sodium propylparaben

Advantages:

Safe, no adverse effects on pulp
Reduced need for LA
Conservation of tooth structure
Reduced risk of pulp exposure
Pediatric, medically compromised patients

Limitations:

Need for rotary and hand instruments.

Reference-  Sturdevant 6th ed Pg-310